What is the karyotype that you expect in chromosomal studies in a young male with hypogonadism and infertility and suspected Klinefelter syndrome?
1. 47XXY
2. 45X0
3. 46XXY
4. 45XXX

Correct answer: 1. 47XXY

Explanation: Klinefelter syndrome is the most common chromosomal disorder associated with male hypogonadism and infertility. It is defined classically by a 47XXY karyotype with variants that demonstrate additional X and Y chromosomes. The syndrome is characterized by hypogonadism (small testes, azoospermia, oligospermia), gynecomastia in late puberty, psychosocial problems, hyalinization and fibrosis of the seminiferous tubules, and elevated urinary gonadotropin levels.